Lysosomal accumulation of sphingomyeline is seen in
1. Farber’s disease
2. Niemann-Pick disease
3. Tay Sach’s disease
4. Krabbe’s disease

Correct answer: 2. Niemann-Pick disease